Orthotolidine test is used for detecting which of the following?
1. Chlorine
2. Nitrites
3. Nitrates
4. Ammonia

Correct answer: 1. Chlorine

Explanation: Orthotolidine test is used for determining both free and combined chlorine in water with speed and accuracy. Ref: Preventive and Social Medicine, By K.Park, 19th edition, Page 576, 578, 579, 582